Cutoff value of sweat chloride values above which 2 consistantly higher reading is diagnostic for Cystic fibrosis is
1. 40 mEq / L
2. 50 mEq / L
3. 60 mEq / L
4. 70 mEq / L

Correct answer: 3. 60 mEq / L

Explanation: One or more clinical features of Cystic Fibrosis
+
Two consistently > 60 mEq / L Sweat chloride
values is diagnostic of Cystic fibrosis.